Incineration is done for -
1. Waste sharps
2. Human anatomic waste
3. Radiographic waste
4. Used batteries

Correct answer: 2. Human anatomic waste

Explanation: - human anatomical wastes are treated by incineration. - wastes types not to be incinerated are; pressurized gas container or radiographic wastes. plastics sealed ampules wastes with mercury or cadmium content. Reference : Park's textbook of preventive and social medicine, 23rd edition, pg no:791,793